Multi-Load 375 belongs to which generation of IUCD:
1. First
2. Second
3. Third
4. Fourth

Correct answer: 2. Second

Explanation: Generations of IUD: * First: inert devices e.g., Lippes loop * Second: all the copper-containing devices( eg CuT 380 A, ML250, ML 375) * Third: hormonal devices e.g., Progestasert and Mirena.